The permanent anterior tooth, which is most commonly atypical, is:
1. Maxillary central incisor
2. Maxillary lateral incisor
3. Mandibular central incisor
4. Mandibular 1st premolar

Correct answer: 2. Maxillary lateral incisor